In patient with listeria meningitis who is allergic to penicillin the treatment of choice is -
1. Vancomycin
2. Gentamycin
3. Trimethoprim-sulphamethoxazole
4. Ceftriaxone

Correct answer: 3. Trimethoprim-sulphamethoxazole